Not a muscle of the tongue
1. Genioglossus
2. Sternohyoid
3. Hyoglossus
4. Styloglossus

Correct answer: 2. Sternohyoid

Explanation: Intrinsic muscles of the tongue: 

Muscles found entirely within the tongue
Longitudinal, transverse, and vertical muscles
Function - change the shape of the tongue.

Extrinsic muscles of the tongue:

Genioglossus, Styloglossus, and hyoglossus, Palatoglosus.
All insert into the tongue, originate from surrounding structures